Anterior compartment of leg contains all muscle except -
1. Peroneus brevis
2. Peroneus tertius
3. Extensor hallucis longus
4. Tibialis anterior

Correct answer: 1. Peroneus brevis

Explanation: Peroneus longus and peroneus brevis are present in lateral compartment of leg.
Peroneus tertius, tibialis anterior, extensor hallucis longus and extensor digitorum longus are present in anterior compartment of leg.